Which of the following pathways is activated by Insulin
1. Ketone body synthesis
2. Gluconeogenesis
3. Glycolysis
4. β Oxidation

Correct answer: 3. Glycolysis

Explanation: Insulin activates all anabolic pathways and also Glycolysis and PDH complex reaction.
Insulin acts by dephosphorylation.
Glucagon acts by phosphorylation.